Most potent cardiac stimulant among the following is?
1. Adrenaline
2. Noradrenaline
3. Ephedrine
4. Salbutamol

Correct answer: 1. Adrenaline

Explanation: Epinephrine (adrenaline) is an agonist at both a and b receptors. It is, therefore, a very potent vasoconstrictor and cardiac stimulant. Noradrenaline acts mainly on alpha receptors salbutamol acts on beta 2 receptors beta 1 receptors are located on heart Katzung 12e pg:140